The most likely diagnosis in a newborn who had a radiopaque shadow with an air-fluid level in the chest along with hemivertebrae of the 6th thoracic vertebra on plain X-ray is –
1. Congenital diaphragmatic hernia
2. Oesophageal duplication cyst
3. Bronchogenic cyst
4. Staphylococcal pneumonia

Correct answer: 2. Oesophageal duplication cyst

Explanation: Air-fluid level on the chest in a neonate with hemivertebrae suggests the diagnosis of esophageal duplication cyst.